A woman with IUCD develops pelvic inflammatory disease. Which of the following should be done?
1. Keep the IUCD, give antibiotic, follow up for antibiotic response and then take decision regarding IUCD removal
2. Start antibiotics and then remove IUCD
3. Remove IUCD and then start antibiotics
4. Wait till next menstrual cycle for any intervention

Correct answer: 1. Keep the IUCD, give antibiotic, follow up for antibiotic response and then take decision regarding IUCD removal

Explanation: PID occurs usually within 4 weeks of insertion and may be due to existing unrecognized vaginal infection, or the tail of IUCD causing ascending infection. Occurrence of PID per se is not an indication of IUCD removal as there could be other causes of occurrence of PID which is usually manageable with antibiotics. It is in fact rare for PID to have occurred secondary to IUCD insertion since sterile practices are followed. Pelvic inflammatory disease (PID) without abscess is treated initially with systemic antibiotics and followed up for response. Actinomycosis is an infection commonly associated with IUCD. if signs or symptoms of infection develop in women who harbour Actinomyces species, then the device should be removed and antimicrobial therapy instituted. Actinomyces species are sensitive to antimicrobials with gram-positive coverage, notably the penicillins.